The number of days required for diagnosis of hypomania is:-
1. 4 days
2. 7 days
3. 14 days
4. 21 days

Correct answer: 1. 4 days

Explanation: The minimum duration required for diagnosis of Hypomania is 4 days. Hypomania is milder form of manic symptoms and not requiring admission or intensive care. Presence of hypomanic episodes with depressive episodes is characteristic of Bipolar Type II disorder. Other important minimum durations related to mood disorders: Depression 14 days Mania 7 days Dysthymia and Cyclothymia 2 years (1 year in adolescence and younger children) Chronic major depression 2 years